All are measurements of mortality except -
1. Crude death rate
2. Survival rate
3. Incidence
4. Case fatality rate

Correct answer: 3. Incidence

Explanation: MEASUREMENT OF MORTALITY

Most epidemiological studies begin with mortality data.
The commonly used measures for mortality are :-


Crude death rate       
Specific death rate
Proportional mortality rate
Survival rate
Case fatality rate
Standardized or adjusted rates